A glomerulus-like structure composed of central blood vessel enveloped by germ cells within a space lined by germ cells, is seen in-
1. Sertoli-Leydig cell tumor
2. Granulosa cell tumor
3. Endodermal sinus tumor
4. Sex cord tumor with annular tubules

Correct answer: 3. Endodermal sinus tumor

Explanation: Endodermal Sinus (Yolk Sac) Tumor: it is the second most common malignant tumor of germ cell tumor. Endodermal sinus tumor: Malignant aggressive, rapidly growing germ cell tumor. Can also occur in testis. Endodermal sinus tumor: 1. Schiller-Duval body: Glomerulus-like structure composed of a central blood vessel enveloped by germ cells within a space lined by germ cells. 2. PAS-positive hyaline droplets. Tumor Marker: 1. a-fetoprotein 2. a1-antitrypsin. Ref: RAM DAS NAYAK EXAM PREPARATORY MANUAL FOR UNDERGRADUATES 2nd ed. pg no: 683,684